Councliman bodies are seen in:
1. Wilson's disease
2. Alcoholic hepatitis
3. Acute viral hepatitis
4. Auto immune hepatitis

Correct answer: 3. Acute viral hepatitis

Explanation: . Acute viral hepatitis